Pulse deficit more than 10 is seen in-
1. Ventricular premature contraction
2. Atnal flutter
3. Atrial fibrillation
4. Ventricular fibrillation

Correct answer: 3. Atrial fibrillation

Explanation: Atrial fibrillation (AF or A-fib) is an abnormal heart rhythm characterized by rapid and irregular beating of the atrial chambers of the heart.Often it starts as brief periods of abnormal beating which become longer and possibly constant over time.Often episodes have no symptoms. Occasionally there may be heart palpitations, fainting, lightheadedness, shortness of breath, or chest pain.The disease is associated with an increased risk of heart failure, dementia, and stroke.It is a type of supraventricular tachycardia Leads V4 and V5 of an electrocardiogram showing atrial fibrillation with somewhat irregular intervals between heart beats, no P waves, and a heart rate of about 150 BPM. Pulse deficit occurs when there are fewer pulses than there are heartbeats. Atrial fibrillation and atrial flutter can cause pulse deficit because they cause the heart to beat so fast, and often irregularly, that the force of blood out of the heart is sometimes not strong enough to create a pulse. Ref Harrison 20th edition pg 1576